Which of the following opening in the base of the skull transmits the third branch of trigeminal nerve?
1. Foramen ovale
2. Foramen lacerum
3. Foramen magnum
4. Foramen spinosum

Correct answer: 1. Foramen ovale

Explanation: Foramen ovale is an opening at the base of the lateral pterygoid plate. It transmits the third branch of the trigeminal nerve, the accessory meningeal artery, and occasionally the superficial petrosal nerve. Foramen lacerum transmits the internal carotid artery.Foramen magnum transmits the medulla and its membranes, the spinal accessory nerves, the vertebral arteries, and the anterior and posterior spinal arteries.